Anemia in chronic renal failure (CRF) is due to -
1. Decreased erythropoietin production
2. Iron deficiency
3. Hypoplastic bone marrow
4. Decreased Vit - B12

Correct answer: 1. Decreased erythropoietin production

Explanation: Erythropoietic activity in the body is regulated by erythropoietin.The principle site of production of erythropoietin is the kidney .Decreased production of erythropoietin by diseased kidney in chronic renal failure results in decline in erythropoiesis & anemia.

Reference :Harsh mohan textbook of pathology sixth edition pg no 655.